Which of the following is not a step in the ‘three step build up’ of direct filling gold?
1. Tie formation
2. Stepping
3. Shoulder formation
4. Banking of walls

Correct answer: 2. Stepping

Explanation: A. Three step build-up for the restoration

“Tie formation”
This involves connecting two opposing point angles or starting points filled with gold with a transverse bar of gold. Such a “tie” forms the foundation for any restoration in direct gold. Of course, its resistance to displacement should be tested before proceeding to the next step.
“Banking of walls”
This is accomplished by covering each wall from its floor or axial wall to the cavosurface margin with the direct gold material. A wall should be banked in a way that will not obstruct tie formation or banking of other walls in the cavity preparation. “Banking” should be performed simultaneously on the surrounding walls of the preparation.
“Shoulder formation”
Sometimes, to complete a build-up, it is necessary to connect two opposing walls with the direct gold material. These three steps should completely fill up the cavity preparation, but the build-up should continue until the preparation is overfilled.

Ref: Marzouk .page 399